Best test for diagnosis of organic mental (Brain) disorder :
1. Bender Gestalt test
2. Rorschach test
3. Thematic apperception
4. Sentence completion test

Correct answer: 1. Bender Gestalt test

Explanation: A i.e. Bender Gestalt test